Nickel-titanium alloy has increased flexibility over stainless steel. How does the modulus of elasticity for nickel-titanium alloy compared to that of stainless steel?
1. Similar to stainless steel
2. One-fourth to one-fifth that of stainless steel
3. Half that of stainless steel
4. 2 to 3 times that of stainless steel

Correct answer: 2. One-fourth to one-fifth that of stainless steel